All of the following are advantage of epidural anaesthesia over spinal anaesthesia except –
1. Dural puncture is avoided
2. Chances of meningitis are very low
3. Post spinal headache is avoided
4. Its duration of action is very short

Correct answer: 4. Its duration of action is very short

Explanation: Duration of action of epidural anesthesia is longer than spinal anesthesia.